Gene involved in Juvenile myoclonic epilepsy:-
1. CHYNN-1
2. GABRA-1
3. FMR-1
4. All of the above

Correct answer: 2. GABRA-1

Explanation: Ans. (b) GABRA-1Ref: Nelson Text book of Pediatrics 20th Ed; Page No-1531* juvenile myoclonic epilepsy is associated with 3 genes:# GABRA-1# EFHC-1# CACNB-4